Band shaped trophozoites are seen in -
1. P. ovale
2. P. vivax
3. P. falciparum
4. P. malariae

Correct answer: 4. P. malariae

Explanation: Band shaped trophozoites are seen in P. malariae. In other three ring form are seen in late trophozoite stage. Microscopic Tests for Malaria: 1. Examination of peripheral blood smears (thin and thick blood films): Gold standard method: Thick smear: used for quantification and malaria pigment detection Thin smears: Used for speciation, Late trophozoite (band like slightly amoeboid) of P. malariae can be demonstrated. P. malariae trophozoites have compact cytoplasm and a large chromatin dot. Occasional band forms and/or "basket" forms with coarse, dark-brown pigment can be seen. Quantitative Buffy coat examination (QBC) Rapid method for detection of parasites "Band-form" trophozoites in a thin smear "Basket-form" trophozoites in a thin smear